Schizophrenia false is -
1. 3rdperson auditory hallucination
2. Inappropriate emotions
3. Sustained mood changes
4. Formal thought disorder

Correct answer: 3. Sustained mood changes

Explanation: Sustained mood changes do not occur in schizophrenia. To make the diagnosis of schizophrenia, mood disorders must be excluded:-


No major mood changes (depression, mania or bipolar) occur during active phase symptoms of schizophrenia.
If major mood changes occur during active phase symptoms, their total duration is brief relative to the duration of the active and residual periods of schizophrenia.